Therapeutic uses of α — adrenoceptor blockers include all of the following EXCEPT
1. Hypertension
2. Anxiety
3. Peripheral vascular disease
4. Benign Prostatic hypertrophy

Correct answer: 2. Anxiety